In instrumental vaginal delivery:
1. Full cervical dilatation is the only pre-requisite
2. Forceps are used in all cases of breech delivery
3. Forceps may be used if ventouse fails
4. Ventouse can not be used in rotational occipito-transverse/posterior delivery

Correct answer: 3. Forceps may be used if ventouse fails

Explanation: In case of failed ventouse, forceps may be used. Ref: Textbook of Obstetrics By Dutta, 4th Edition, Pages 397, 398, 613-614